According to ADA specification of a tooth-brush, which of the following is false?
1. Head of the brush should be 2 inches long
2. 2-4 rows of bristles
3. 5-12 tufts per row
4. 80-86 bristles per tuft

Correct answer: 1. Head of the brush should be 2 inches long